Absolute proof of monozygosity is determined by:
1. DNA finger printing
2. Intervening membrane layers
3. Sex of the babies
4. Reciprocal skin grafting

Correct answer: 1. DNA finger printing

Explanation: The most definite proof of monozygosity is DNA finger printing by DNA microprobe technique.
Summary of Determination of Zygosity